Vasculotoxic is -
1. Sea snake
2. Viper
3. Krait
4. Cobra

Correct answer: 2. Viper

Explanation: Ans. is 'b' i.e., Viper Type of poisoningSnakeVasculotoxicVipersMyotoxicSea snakesNeurotoxicElapids- cobra, Krait, coral